Severe hypothermia in a neonate is a temperature:
1. < 35 C
2. < 34 C
3. < 32 C
4. < 37 C

Correct answer: 3. < 32 C

Explanation: In neonate normal axillary temperature is 36.5C - 37.5 C. In hypothermia the temperature is below 36.5 C. Compensatory mechanism will usually attempt to restore normothermia at body temperature above 32 C; below this temperature, the thermoregulation fails and spontaneous rewarming will not occur. Moderate hypothermia (core temperature 32 C - 35 C). Increase oxygen consumption owing to shivering thermogenesis and increased sympathetic tone. Below 32 C (severe hypothermia), shivering ceases and cellular metabolic rate too decreases. Ref: Nelson, 17/e, Page 323